The recommended non surgical treatment of stress incontinence is:
1. Pelvic floor muscle exercises
2. Bladder training
3. Electrical stimulation
4. Vaginal cone / weights

Correct answer: 1. Pelvic floor muscle exercises

Explanation: Clinical research published in the British Medical Journal compared pelvic floor exercises, vaginal weights and electro-stimulation in a randomised trial. The research recommended that pelvic floor exercise should be the first choice of treatment for genuine stress incontinence because simple exercises proved to be far more effective than electro-stimulation or vaginal cones. Ref: Dewhurst's Textbook of Obstetrics and Gynaecology, 7th Edition, Page 526 and 10th Edition, Page 486 ; The Urinary Incontinence Sourcebook By Diane Kaschak Newman, Mary K. Dzurinko, Page 61 ; Textbook of Gynecology By D C Dutta, 5th Edition, Page 386 ; Novak's Textbook of Gynaecology, 14th Edition, Page 875